Which prevents plasminogen activators?
1. Streptokinase
2. Aminocaproic acid
3. Reteplase
4. Clopidogrel

Correct answer: 2. Aminocaproic acid

Explanation: Ans. is 'b' i.e., Aminocaproic acid o Epsilon amino caproic acid (EACA) competitively inhibits plasminogen activation.